What is the size of CBD?
1. 7.5 cm long
2. 3.5 cm long
3. 5.5 cm long
4. 2.5 cm long

Correct answer: 1. 7.5 cm long

Explanation: The common bile duct is about 7 to 11 cm in length and 5 to 10 mm in diameter. The upper third (supraduodenal portion) passes downward in the free edge of the hepatoduodenal ligament, to the right of the hepatic artery and anterior to the portal vein. The middle third (retroduodenal portion) of the common bile duct curves behind the first portion of the duodenum and diverges laterally from the portal vein and the hepatic arteries. The lower third (pancreatic portion) curves behind the head of the pancreas in a groove, or traverses through it and enters the second part of the duodenum. The common bile duct runs obliquely downward within the wall of the duodenum for 1 to 2 cm before opening on a papilla of mucous membrane (ampulla of Vater), about 10 cm distal to the pylorus. Ref :Oddsdottir M. (2010). Chapter 32. Gallbladder and the Extrahepatic Biliary System. In T.R. Billiar, D.L. Dunn (Eds), Schwartz's Principles of Surgery, 9e.